All are true about the hemolytic disease of newborn except
1. Haemolytic anaemia
2. Hydrops foetallis
3. Kernicterus
4. Anti - Rh agglutinins are of IgM type

Correct answer: 4. Anti - Rh agglutinins are of IgM type

Explanation: When anti-Rh agglutinins cross the placenta to an Rh-positive fetus, they can cause hemolysis and various forms of hemolytic disease of the newborn (erythroblastosis fetalis). If hemolysis in the fetus is severe, the infant may die in utero or may develop anemia, severe jaundice, and edema (hydrops fetalis). Kernicterus, a neurologic syndrome in which unconjugated bilirubin is deposited in the basal ganglia, may also develop, especially if birth is complicated by a period of hypoxia. Unlike IgM, IgG is able to cross the placenta.